What is the type of wire formed by twisting five tempered wire over a common wire?
1. Twisted wire
2. Braided wire
3. Axial wire
4. Co-axial wire

Correct answer: 4. Co-axial wire

Explanation: Coaxial Archwire
Coaxial archwires are made of a central core wire of 0.006 inch diameter wire with 5 or 6 outer wires. 
These wires are more flexible and were very frequently used for initial alignment of the teeth before the advent of Ni-Ti wires.
Textbook of  Orthodontics Gurkeerat Singh 2nd ed pg no 335